Cholera is caused by-
1. V.cholerae O1
2. V.cholerae O1 and O139
3. V. cholerae O139
4. NAG vibrios

Correct answer: 2. V.cholerae O1 and O139

Explanation: Vibrio cholerae is sero-grouped on the basis of 'O' antigen into several 'O' serogroups. Of these, O1 and O139 produce the cholera toxin. Hence cholera is caused by only these 2 serogroups ( as only that enteritis is called cholera which is due to cholera toxin )